Van Gogh syndrome is seen in -
1. Mania
2. Depression
3. Schizophrenia
4. OCD

Correct answer: 3. Schizophrenia

Explanation: Dramatic self mutilation occurring in schizophrenia has been also called as Van - Gogh syndrome.